In a patient with chronic congestive cardiac-failure, all of the following drugs prolong survival except :
1. Metoprolol
2. Carvedilol
3. Enalapril
4. Digoxin

Correct answer: 4. Digoxin

Explanation: Answer is D (Digoxin) `Digitalis does not improve survival in patients with heart failure and sinus rhythm.' It reduces symptoms of heart failure and need for hospitalization. ACE inhibitors (Corvedilol and enalapril) and Betablockers (Metaprolol) prolong life. `ACE inhibitors improve symptoms and prolong life' -- Oxford handbook 5th/122 ACE inhibitors.